If the hemoglobin is saturated with carbon monoxide, the hypoxia involved will be:
1. Hypoxic hypoxia
2. Stagnant hypoxia
3. Anaemic hypoxia
4. Histotoxic hypoxia

Correct answer: 3. Anaemic hypoxia

Explanation: Ans. C: Anaemic hypoxia When carbon monoxide is inhaled, it takes the place of oxygen in hemoglobin Levels of carbon monoxide bound in the blood can be determined by measuring carboxyhemoglobin, which is a stable complex of carbon monoxide and hemoglobin. The affinity between carbon monoxide and hemoglobin is 240 times stronger than the affinity between hemoglobin and oxygen. CO binds to hemoglobin, producing carboxyhemoglobin (COHb), which decreases the oxygen-carrying capacity of the blood. This inhibits the transport, delivery, and utilization of oxygen. This causes hemoglobin to retain oxygen that would otherwise be delivered to the tissue. Levels of oxygen available for tissue use are decreased. This situation is described as CO shifting the oxygen dissociation curve to the left. Blood oxygen content is actually increased in the case of carbon monoxide poisoning; because all the oxygen is in the blood, none is being given to the tissues, and this causes anemic hypoxic. Carbon monoxide binds to hemoglobin (reducing oxygen transportation), myoglobin (decreasing its oxygen storage capacity), and mitochondrial cytochrome oxidase (inhibiting cellular respiration). Hallmark pathological change following CO poisoning is bilateral necrosis of the pallidum. Hemoglobin acquires a bright red color when converted to carboxyhemoglobin, so a casualty of CO poisoning is described as looking pink-cheeked and healthy. The main medical treatment for carbon monoxide poisoning is breathing 100% oxygen.